Most common site for mucoepidermoid carcinoma is
1. Parotid gland
2. Submandibular gland
3. Sublingual gland
4. Minor salivary gland

Correct answer: 1. Parotid gland

Explanation: Mucoepidermoid carcinoma is the most frequently diagnosed malignancy of the salivary gland. Among the major salivary glands, the parotid gland is most commonly involved.